Gene responsible for Van der woude syndrome:
1. IRF6
2. FGFR2
3. HGHF2
4. GAT02

Correct answer: 1. IRF6

Explanation: Mutations in the IRF6 gene that cause van der Woude syndrome prevent one copy of the gene in each cell from making any functional protein. A shortage of the IRF6 protein affects the development and maturation of tissues in the face, resulting in the signs and symptoms of van der Woude syndrome.